Chromosomes involved in early onset Alzheimer's disease:
1. 1,14,21
2. 1,13,22
3. 3, 14, 20
4. 3, 14, X

Correct answer: 1. 1,14,21

Explanation: A i.e. 1,14,21Ref: Genetic Home ReferenceExplanation:Genes Involved in Alzheimers Disease:Early onset Alzehimer's disease involves three genes: APP-Ch 21.PSEN1 (Presenilin 1) - Ch 14.PSEN 2 (Presenilin 2) - Ch 1.Genes causing autosomal dominant AD* APP* PSEN1* PSEN 2All can cause early onset disease but PSEN2 is associated with a broad range of onset ages.Susceptibitity genes* Apolipoprotein E gene (APOE)- c2 allele: associated with decreased risk- s3 allele: neutral- e4 allele: high-risk* SORL1